Salt and pepper skin is seen in?
1. Dermatomyositis
2. SLE
3. Scleroderma
4. Syphilis

Correct answer: 3. Scleroderma

Explanation: Ans. (c) SclerodermaRef : Rook's 8/e, p 51.96